A patient has Bullous Lesion; on Tzank smear -
1. Langerhans ceils are seen
2. Acantholysis
3. Leucocytosis
4. The absence of melanin pigment

Correct answer: 2. Acantholysis

Explanation: Ans-BTzank smearo It is done for vesiculobullous disorders.o A small, early, uninfected lesion should ideally be selected. The roof of the blister is removed with scissors, and the base of the blister gently scraped with a blunt scalpel so as not to produce bleeding. The material obtained is spread thinly on a glass slide.o It shows acantholytic cells (rounded cells with a relatively large nucleus and a condensed cytoplasm) e g: pemphigus gp of disorders.o Multinucleated giant cells nad ballooning degeneration is a characteristic of herpes simplest, herpes zoster and varicella infection.